True about left phrenic nerve
1. Lies anterior to anterior scalenous muscle
2. Posterior to brachial plexus
3. Posterior to subclavian artery
4. Posterior to hilum left lung

Correct answer: 1. Lies anterior to anterior scalenous muscle

Explanation: The phrenic nerves contain motor, sensory, and sympathetic nerve fibers. The phrenic nerve originates mainly from the 4th cervical nerve, but also receives contributions from the 5th and 3rd cervical nerves Both phrenic nerves run from C3, C4, and C5 along the anterior scalene muscle deep to the carotid sheath. The accessory phrenic nerve is a branch of the nerve to the subclavius Ref: BD Chaurasia; 7th edition